Indications for Sympathectomy are all except:
1. Intermittent claudication
2. Ischemic pains
3. Rest pains
4. Buerger's disease

Correct answer: 1. Intermittent claudication

Explanation: Lumbar Sympathectomy is not of value in the management of intermittent claudication, as blood flow in the skin but not in the muscle is controlled by sympathetic nervous system. Blood flow in the skin but not in the muscle is controlled by a sympathetic nervous system. If the overlying arterial supply is inadequate, ischemic changes in the skin may be relieved by sympathetic blockage but the impaired blood flow to muscles is unlikely to improveQ. Indications of Sympathectomy (BARA CHEF) Buerger's disease Atherosclerosis producing ischemia of limbsQ Raynaud's disease AcrocyanosisQ ErythrocyanosisQ Frost biteQ HyperhydrosisQ Peripheral vascular insufficiency CausalgiaQ